All are cardiovascular manifestations of late syphilis, EXCEPT:
1. Uncomplicated aortitis
2. Saccular aneurysm (usually of the ascending aorta)
3. Coronary ostial stenosis
4. Pulmonary stenosis

Correct answer: 4. Pulmonary stenosis

Explanation: Cardiovascular manifestations of late syphilis: Manifests 10-40 years after infection Due to Endarteritis obliterans of the vasa vasorum T. pallidum DNA detected by PCR in aortic tissue. Uncomplicated aortitis, aortic regurgitation, saccular aneurysm (usually of the ascending aorta), or coronary ostial stenosis. Linear calcification of the ascending aorta suggests asymptomatic syphilitic aortitis Syphilitic aneurysms are usually saccular, and it do not lead to aortic dissection. Only 1 in 10 aortic aneurysms of syphilitic origin involves the abdominal aorta. Ref: Harrison, E-18, P-1384